Shoulder dystocia result in the foilnwing except:
1. Sternomastoid swelling
2. Erb's palsy
3. Klumpke's paralysis
4. None

Correct answer: 4. None

Explanation: Ans. is d i.e. None